In lake water, the highest fluoride value ever recorded in 2800 PPM. In which country this lake is situated:
1. Japan
2. Kenya
3. Libya
4. South Africa

Correct answer: 2. Kenya